RBC cast in the microscopic examination of the urine is an indicator of -
1. Acute glomerulonephritis
2. Acute Pyelonephritis
3. Chronic glomerulonephritis
4. Nephrotic syndrome

Correct answer: 1. Acute glomerulonephritis